Which of the following agents enhances the bioavailability of levodopa in patients with Parkinson's disease:
1. Amantadine
2. Ropinirole
3. Entacapone
4. Selegiline

Correct answer: 3. Entacapone

Explanation: Entacapone & tolacapone which cones under COMT INHIBITORS enhance & prolong the therapeutic effect of levodopa-carbidopa in advanced & fluctuating PD . Ref: KD Tripathi 8th ed.